Topical Mitomycin C is indicated in the treatment of which of the follwoing conditions?
1. Endoscopic treatment of angiofibroma
2. Treatment of skull base osteomyelitis
3. Sturge Weber syndrome
4. Treatment for laryngeal stenosis

Correct answer: 4. Treatment for laryngeal stenosis

Explanation: Topical application of Mitomycin C after endoscopic dilatation of laryngotracheal stenosis prevents restenosis. Mitomycin-C (MMC) inhibits fibroblast proliferation and synthesis of extracellular matrix proteins, and thereby modulates wound healing and scarring.